A 61-year-old woman presents with nausea, vomiting, and sudden onset of left-sided abdominal pain. Physical examination shows low grade fever, and laboratory evaluation shows increased neutrophils in her peripheral blood. Which of the following is the most likely diagnosis
1. Appendicitis
2. Colitis
3. Diverticulitis
4. Pancreatitis

Correct answer: 3. Diverticulitis

Explanation: Acute inflammation of diverticula (diverticulitis) will produce the sudden onset of left-sided abdominal pain accompanied by fever and peripheral leukocytosis (mainly neutrophils). These clinical signs are essentially the same as those seen with acute appendicitis except that the abdominal pain is on the left side rather than the right side. As such, diverticulitis sometimes is referred to as left-sided appendicitis. Ref:- Harsha Mohan textbook of Pathology